Cervical sympathetic lesion causes all except -
1. Miosis
2. ptosis
3. Enophthalmos
4. Increased sweating

Correct answer: 4. Increased sweating